Not true about Chondroblastoma
1. Chicken wire appearance
2. CODMAN's tumor
3. Epiphyseal tumor
4. Treated by chemotherapy

Correct answer: 4. Treated by chemotherapy

Explanation: Treatment is surgical, extended currettage with bone grafting.